Most common type of tracheo-oesophageal fistula is
1. Type A
2. Type B
3. Type C
4. Type D

Correct answer: 3. Type C

Explanation: Most common type of tracheo- oesophageal is type C, Atresia with distal Tracheo - oesophageal constituting 85%. Reference: SRB's Manual of Surgery, 6th Edition, page no= 794.